For evaluating a case of recurrent spontaneous abortion, which of the following investigation is unwanted?
1. Hysteroscopy
2. Testing for Antiphospholipid antibodies
3. Testing for TORCH infections
4. Thyroid function tests.

Correct answer: 3. Testing for TORCH infections

Explanation: TORCH infections is not a cause of recurrent spontaneous abortion. Recurrent spontaneous abortion is defined as 3 or more consecutive pregnancy losses at 20 weeks or less or with fetal weights less than 500 grams. Causes and investigations includes : Chromosomal abnormalities: karyotypic evaluation of both parents Genital tract anatomical abnormalities : three-dimensional sonography, hysteroscopy Autoimmune Factors like SLE: antiphospholipid antibodies Alloimmune Factors Inherited Thrombophilias Endocrinological factors like progesterone deficiency, PCOS, diabetes mellitus, hypothyroidism Ref: Williams Obstetrics, 23e chapter 9.